All of the following are true of antrochoanal polyp except:
1. Common in young
2. Single and unilateral
3. Bleeds on touch
4. Treatment involves FESS

Correct answer: 3. Bleeds on touch

Explanation: (c) Bleeds on touch(Ref. Scott Brown, 6th ed., 4/10/14)They have very poor blood supply because of which they do not bleed on touch.